In wiskott - Aldrich syndrome true is
1. Raised IgE
2. Raised IgM
3. Reduced IgA
4. CD4 and CD8 defect

Correct answer: 1. Raised IgE